Retrolental fibroplasia is due to –
1. Hypocapnia
2. CO2
3. Hypoxia
4. Hyperoxygenemia

Correct answer: 4. Hyperoxygenemia

Explanation: Retrolental fibroplasia (Retinopathy of prematurity)

Predisposing factor → Prematurity (less gestational age)
Precipitating factor → Hyperoxia